Which of the following statements is true regarding Arbo viruses -
1. Yellow fever is endemic in India
2. Dengue virus has only one serotype
3. Kyasanur Forest disease (KFD) is transmitted by ticks
4. Mosquito of culex visnoi-complex is the vector of Dengue fever

Correct answer: 3. Kyasanur Forest disease (KFD) is transmitted by ticks

Explanation: KFD is a tick-borne group disease of arbovirus It is a viral hemorrhagic Fever in south India REF:ANANTHANARYANAN TEXTBOOK OF MICROBIOLOGY 9EDITION PGNO.523